Bell's palsy is paralysis of
1. UMN V nerve
2. UMN VII nerve
3. LMN V nerve
4. LMN VII nerve

Correct answer: 4. LMN VII nerve

Explanation: Bells palsy is due to the lesion of LMN VII nerve which is idiopathic in nature. Ref: Dhingra 6th edition pg. 94